Commonest cause of intestinal obstruction in children is
1. Intussusception
2. Volvulus
3. Hernia
4. Adhesions

Correct answer: 1. Intussusception

Explanation: .Intussusception Most common in children Primary or secondary to intestinal pthology eg:polyps,appendix Ileocolic is the most common variety Can lead to ischaemic segment peak incidence at 3-9 months BAILEY AND LOVE'S SHO PRACTICE OF SURGERY,PG NO:1195, 24 th edition